Chemotaxis is
1. Unidirectional increase in movement
2. Random movement increase
3. Margintion of leucocytes
4. Increase of leucocytes

Correct answer: 1. Unidirectional increase in movement